EBV infects B cells binding to
1. CD 21
2. CD 40
3. CD 79a
4. CD 23

Correct answer: 1. CD 21

Explanation: CD21- EBV uses this receptor to bind and infect B cellsReference: Robbins; 9th edition; Volume I; Page no: 327